Satellite lesion are seen in –
1. Tuberculoid leprosy
2. Lepromatous leprosy
3. Borderline tuberculoid leprosy
4. Histoid leprosy

Correct answer: 3. Borderline tuberculoid leprosy

Explanation: Satellite lesions → Borderline tuberculoid
Punched out or inverted saucer shaped lesions → Mid borderline (BB), borderline leprosy (BL)